Gonorrhea is assumed to be caused by gonococcus. Gonococcus can be identified by being:
1. By the growth on McConkey medium
2. By the fermentation of maltose
3. By the fermentation of glucose
4. Gram positive

Correct answer: 3. By the fermentation of glucose

Explanation: By the fermentation of glucose